Treatment of mucocele on lower lip
1. Incision
2. Excision
3. Excision with adjacent glands
4. Biopsy

Correct answer: 3. Excision with adjacent glands